Program for screening developmental delay, deficiency and neonatal genetic defects
1. Janani Suraksha Yojana (JSY)
2. Janani Shishu Suraksha Karyakram (JSSK)
3. Rashtriya Bal Swasthya karyakaram (RBSK)
4. Rashtriya Kishor Swasthya Karyakram

Correct answer: 3. Rashtriya Bal Swasthya karyakaram (RBSK)

Explanation: Rashtriya Bal Swasthya Karyakram - RBSK (Child Health Screening and Early Intervention Services) is an initiative aiming at early identification and early intervention for children from birth to 18 years to cover 4 'D's viz. Defects at birth, Deficiencies, Diseases, Development delays including disability. Selected Health Conditions for Child Health Screeniong & Early Intervention Services Defects at Birth Deficiencies 1. Neural tube defect 2. Down' Syndrome 3. Cleft Lip & Palate / Cleft palate alone 4. Talipes (club foot) 5. Developmental dysplasia of the hip 6. Congenital cataract 7. Congenital deafness 8. Congenital heart diseases 9. Retinopathy of Prematurity 10. Anaemia especially Severe anaemia 11. Vitamin A deficiency (Vitot spot) 12. Vitamin D Deficiecny, (Rickets) 13. Severe Acute Malnutrition 14. Goiter Diseases of Childhood Developmental delays and Disabilities 15. Skin Conditions (Scabies, fungal infection and Eczema) 16. Otitis Media 17. Rheumatic heart disease 18. Reactive airway disease 19. Dental conditions 20. Convulsive disorders 21. Vision Implairment 22. Hearing Impairment 23. Neuor-motor Impairment 24. Motor delay 25. Cognitive delay 26. Language delay 27. Behaviour disorder (Autism) 28. Learning disorder 29. Attention deficit hyperactivity diorder 30. Congenital Hypothyroidism, Sickle cell anemia, Beta thalassemia (Optional) Rashtriya Kishor Swasthya Karyakram : Development of adolescent population (10-19 yrs); Weekly supplementation of 60mg of iron & 500 mcg Folic Acid. Develop menstrual hygiene by giving a pack of 6 sanitary napkins for 6 Rs by ASHA. Enhancement of mental health; prevention of violence, abuse.